All the following are advantages of the Jaipur foot over the conventional SACH foot Except
1. Appearance of the Jaipur foot is that of normal foot
2. It is suitable for bare foot walking
3. Allows movement at fore foot and midfoot
4. Jaipur foot is electrically operated

Correct answer: 4. Jaipur foot is electrically operated

Explanation: Traditionally, the terminal device of a lower limb prosthesis is a prosthetic foot, called SACH foot. It is a simple device that has a wooden core surrounded by a solid rubber foot. This permits a combination of stiffness with pliability. The cushioned heel absorbs the impact of heel strike.In India, at Jaipur, SACH foot has been modified in a number of ways to make it suitable for barefoot walking. Essentially, these modifications are: (i) appearance of the foot is that of a normal foot; and (ii) it allows movement at forefoot and midfoot, making walking on uneven surfaces easier. It is not electrically operated.Ref: Maheswari; Essential Orthopedics; 5th edition; Page no: 332